Police inquest is done in all, except:
1. Suicidal death
2. Homicidal death
3. Dowry death
4. Death by animals

Correct answer: 3. Dowry death

Explanation: Ans. Dowry death